Mutarotation refers to change in:
1. pH
2. Optical rotation
3. Conductance
4. Chemical properties

Correct answer: 2. Optical rotation

Explanation: Mutorotation refers to the change in the specific optical rotation representing the interconversion of α- and β- anomers of D-glucose to an equilibrium.